When neonatal meningitis is caused by streptococci, they usually are:
1. Streptococcus pyogenes (Group A)
2. Streptococcus Agalactiae (Group B)
3. Streptococcus Sanguis (Viridans)
4. Streptococcus pneumoniae (Serotype B)

Correct answer: 2. Streptococcus Agalactiae (Group B)

Explanation: Neonatal sepsis and meningitis is usually caused by Group B streptococci (Streptococcus agalactiae). The organism infects the neonate from the mother's vaginal flora (about 20% of women carry group B streptococci) during vaginal delivery. Group B streptococci give a positive reaction in the cAMP test, where there is a zone of complete hydrolysis when it is inoculated perpendicular to the streak of S. aureus. Ref: Thilo E.H., Rosenberg A.A. (2012). Chapter 2. The Newborn Infant. In W.W. Hay, Jr., M.J. Levin, R.R. Deterding, J.J. Ross, J.M. Sondheimer (Eds), CURRENT Diagnosis & Treatment: Pediatrics, 21e.